Which of the following is the main colonizer of sebaceous gland:
1. Propionic bacterium acnes
2. Diphtheria
3. Streptopyogens
4. Staph aureus

Correct answer: 1. Propionic bacterium acnes

Explanation: Ans. A (Propionic bacterium acnes) Propiniobacterium acnesQ a normal commensalQ'of the pilosebaceous apparatus, plays an important role in pathogenesis of acne. Other organisms implicated include P. granulosum, Malassezia furfur and coagulase negative micrococci"- Neena Khanna 3rd/9SFig- Etiology- of Acne vulgaris"Anaerobic diphtheroids (Corynebacterium acnes) Q are most common in areas rich in sebaceous glands. These are now classified as Propionibacterium acnesQ and as P granulosum. P acnes are seen eight times more frequently than P granulosum. Other microbial group isolated from sebaceous gland are Staphylococcus and Pityrosporum species"- Dermatology by Moschella & Hurley 3nd /68